Cell mediated immunity is NOT responsible for:
1. Arthus reaction
2. Contact dermatitis
3. Graft rejection
4. Tumor rejection

Correct answer: 1. Arthus reaction

Explanation: Ans. A i.e. Arthus reaction Type III reactions (Arthus reaction etc.) are immune complex diseases/ Type III reactions